BOAA toxin responsible for Neurolathyrism  contains which aminoacid
1. Alanine
2. Methionine
3. Lysine
4. Tryphtophan

Correct answer: 1. Alanine

Explanation: BOAA - ßeta oxalyl amino alanine.